More than 5% carboxy hemoglobin is indicative of
1. Ante mortem burn
2. Drowning
3. HCN poisoning
4. Suffocation

Correct answer: 1. Ante mortem burn

Explanation: There is increased carboxyhemoglobin (>5%) in antemortem burning.